In a study done to establish Smoking as a risk factor for a disease, 30 out of 50 smokers developed the disease while 10 out of 50 non-smokers developed the disease. Odd's ratio is?
1. 3
2. 6
3. 5
4. 10

Correct answer: 2. 6

Explanation: ANSWER: (B) 6REF: Park 20th edition page 69 SmokerNon smoker Disease301040Non disease204060 5050 Odds ratio = (30 x 40)/ (20 x 10)= 6